Unnatural sexual offences is/are -a) Sodomyb) Buccal coitusc) Raped) Inceste) Adultry
1. ab
2. a
3. ad
4. bc

Correct answer: 1. ab

Explanation: Natural sexual offences → Rape, Adultery, Incest
Unnatural sexual offences → Sodomy, lesbianism (tribadism), buccal coitus, bestiality.